Not vit K dependent clotting factor is ?
1. II
2. VII
3. VIII
4. IX

Correct answer: 3. VIII

Explanation: Ans. is 'c' i.e., VIIIVit K acts as a cofactor at a late stage in the synthasis of coagulation factors by liver - Prothrombin (factor II), Factor VII, IX and X (also protein 'C' & Protein '5').